A 5cm suspicious looking lesion of oral mucosa should be:
1. Incised and sent for biopsy
2. Excised and sent for biopsy
3. Irradiated
4. Offered palliative treatment

Correct answer: 1. Incised and sent for biopsy